Artery palpable at the anterior border of masseter
is _________ artery
1. Maxillary
2. Facial
3. Lingual
4. Superficial temporal

Correct answer: 2. Facial